Hallucinations are seen in all except
1. Schizophrenia
2. Seizure due to intracerebral space occupying lesions
3. LSD
4. Anxiety

Correct answer: 4. Anxiety

Explanation: Hallucination is a perception without stimulus this is a psychotic symptom it is seen in various psychiatric disorders namely organic mental conditions like delirium and epilepsy psychotic disorders like schizophrenia mood disorders like depression with use of substances like LSD, Phencyclidine whereas anxiety disorder is a type of neurosis which does not have a psychotic symptoms and may present with palpitation, breathlessness, giddiness, sense of impending doom anxiety disorder does not present with hallucinations. Reference: A short textbook of psychiatry by Niraj Ahuja, pages 56, 49, 28.